Which one of the following statements about the portal vein is false ?
1. It is formed by the union of the superior mesenteric and splenic veins
2. It ascends posterior to the neck of the pancreas and the superior part of the duodenum
3. The bile duct and the hepatic artery lie anterior to its upper part
4. It ends by dividing into the hepatic veins

Correct answer: 4. It ends by dividing into the hepatic veins

Explanation: The portal vein is usually formed by the confluence of the superior mesenteric and splenic veins and also receives blood from the inferior mesenteric, gastric, and cystic veins. Conditions involving the portal vein cause considerable illness and death. An important example of such a condition is elevated blood pressure in the portal vein. This condition, called portal hypertension, is a major complication of cirrhosis. Ref - sciencedirect.com